Volume of air taken into the lungs in normal respiration is known as
1. Vital capacity
2. Timed vital capacity
3. Tidal volume
4. Inspiratory reserve volume

Correct answer: 3. Tidal volume

Explanation: Vital Capacity: Amount of air that can be exhaled with maximum effort after maximum inspiration. It is used to assess the strength of thoracic muscles as well as pulmonary function. Timed Vital Capacity: The fraction of the vital capacity expired during the first second of a forced expiration.Tidal volume: The amount of air that moves into the lungs with each inspiration (or the amount that moves out with each expiration). Inspiratory reserve volume: The air inspired with a maximal inspiratory effort in excess of the tidal volume.Ref: Ganong's review of medical physiology, 23rd edition, page: 593